The major risk factor for bipolar disorder is
1. Positive family history of bipolar
2. High neuroticism in personality
3. Low socioeconomic status
4. Stressful life events

Correct answer: 1. Positive family history of bipolar

Explanation: There are several factors that is said to be a causation for bipolar disorders they can be classified under nature versus nuure hypothesis natural causes plays a important role and one of the important cause among them is family history or high genetic loadine more the number of genes more is the risk of bipolar disorder in a person Reference: Kaplon and sadock, 11 th edition, synopsis of psychiatry, 11 th edition, pg no. 355